Oral diaphragm is formed by:
1. Mylohyoid muscle
2. Genioglossus muscle
3. Buccinator muscle
4. Orbicularis oris muscle

Correct answer: 1. Mylohyoid muscle